IgA deposition in mesangial cells arr seen in
1. Good Pasteur syndrome
2. Berger syndrome
3. Cresentic glomerulonephritis
4. Alport syndrome

Correct answer: 2. Berger syndrome

Explanation: Refer Robbins page no 923 IgA Nephropathy (Berger Disease) IgA nephropathy, characterized by the presence of prom- inent IgA deposits in the mesangial regions and recurrent hematuria, is the most common type of glomerulonephri- tis worldwide. The disease can be suspected by light microscopic examination, but the diagnosis is made only by the detection of glomerular IgA deposition (Fig. 20-19). Mild proteinuria is usually present, and the nephrotic syndrome may occasionally develop.